The most common manifestations of puerperal infection is :
1. Peritonitis
2. Endometritis
3. Parametritis
4. Saipingitis

Correct answer: 2. Endometritis

Explanation: Endometritis